Serial extraction is contraindicated in all of the following except
1. Canine impaction
2. Missing premolars
3. Class II Div I malocclusion
4. Crowding of deciduous dentition

Correct answer: 4. Crowding of deciduous dentition